Antitumor activity is shown by all except ?
1. Cytotoxic T lymphocytes
2. Natural ki I ler cells
3. Basophils
4. Macrophages

Correct answer: 3. Basophils

Explanation: Ans. is 'c' i.e., Basophils